Carnitine-acylcarnitine translocase acts as an inner membrane exchange transporter. Carnitine is synthesized from:
1. Alanine
2. Arginine
3. Lysine
4. Glycine

Correct answer: 3. Lysine

Explanation: Levocarnitine (L-carnitine): It is an endogenous carboxylic acid that facilitates transport of long-chain fatty acids into mitochondria for beta-oxidation and prevents intracellular accumulation of toxic acyl-CoA. L-Carnitine is ubiquitous in diets rich in meats and dairy products and is also synthesized in the body from the amino acids lysine and methionine. Valproic acid causes carnitine deficiency, resulting in mitochondrial dysfunction. Primary defects of carnitine transport may manifest as Reyes syndrome, cardiomyopathy, or skeletal myopathy with hypotonia. Ref: Thomas J.A., Van Hove J.L. (2012). Chapter 36. Inborn Errors of Metabolism. In W.W. Hay, Jr., M.J. Levin, R.R. Deterding, J.J. Ross, J.M. Sondheimer (Eds), CURRENT Diagnosis & Treatment: Pediatrics, 21e.